One of the following drugs can slow the loss of alveolar bone in periodontitis:
1. Dexamethasone
2. Ibuprofen
3. Penicillin
4. Calcium channel Mockers

Correct answer: 2. Ibuprofen